An Immunoglobulin molecule represents the following level of organized protein structure
1. Primary structure
2. Secondary structure
3. Tertiary structure
4. Quartenary structure

Correct answer: 4. Quartenary structure

Explanation: A complete immunoglobulin molecule represents Ouanternary level of organization between four polypeptide chains (two light chains and two heavy chains). It has a heterotetrameric quaternary structure.